CURB-65 score includes all except:
1. Age > 65 years
2. Confusion and elevated blood urea nitrogen > 7 mmol/L
3. Respiratory rate > 30/min
4. Systolic BP < 100 mm Hg and Diastolic BP < 60 mill Hg

Correct answer: 4. Systolic BP < 100 mm Hg and Diastolic BP < 60 mill Hg

Explanation: Answer- D. Systolic BP < 100 mm Hg and Diastolic BP < 60 mill HgPneumonia Severily Index (PSI) and CUR8-65 criteria ure used in patients of community-acquired pneumonia to decide severity of illness and which patients merit in-patient/ICU care. Systolic BP of <90 mm Hg (not < 100 mm Hg) is a part of the CURB65 criteria.